All of the following structures passes through lesser sciatic foramen, EXCEPT ?
1. Inferior gluteal vessels
2. Internal pudendal vessels
3. Pudendal nerve
4. Nerve to obturator internus

Correct answer: 1. Inferior gluteal vessels

Explanation: Structures passing through the lesser sciatic foramen are tendon of obturator internus, internal pudendal vessels and pudendal nerve. Structures passing through greater sciatic foramen are: Piriformis muscle Superior and inferior gluteal vessel Internal pudendal vessel Pudendal nerve Sciatic nerve Posterior femoral cutaneous nerve Nerve to obturator internus Quadratus femoris Structures passing through both greater and lesser sciatic foramen: Pudendal nerve Internal pudendal vessels Nerve to obturator internus